All of the following are used as proxy measures for incubation period, except
1. Latent period
2. Generation time
3. Serial interval
4. Period of communicability

Correct answer: 4. Period of communicability